Streptococci causing dental caries:
1. Streptococci equisimilis
2. Streptococci mutans
3. Streptococci pneumoniae
4. Streptococci bovis

Correct answer: 2. Streptococci mutans

Explanation: Ans. (b) Streptococci mutans S. mutans: It is member of viridans streptococci (a-hemolytic) which is part of the normal flora of the oral cavity. It assumes bacillary form in acid environment. Can synthesize acid and large polysaccharide (adhesive dextran or levan) from sucrose.